APGAR score include A/E
1. Respiratory effort
2. Heart rate
3. Respiratory rate
4. Colour

Correct answer: 3. Respiratory rate

Explanation: Apgar score is an objective method of evaluating the newborn's condition. It includes Heart rate, Respiratory effort, Muscle tone, Reflex irritability and Color. It is generally performed at 1min and again at 5 min after birth. Reference : page 126 Ghai Essential Pediatrics 8th edition